For partial agonist value of intrinsic activity should be:
1. 1
2. 0
3. Between 0 and +1.
4. -1

Correct answer: 3. Between 0 and +1.